Of the following which is most common disorder causing pain about the masticatory apparatus including the TMJ :
1. Traumatic arthritis
2. Trigeminal neuralgia
3. Myofacial pain dysfunction syndrome
4. Degenerative arthritis

Correct answer: 3. Myofacial pain dysfunction syndrome